Km is increased, but Vmax remains same. The enzyme inhibition is
1. Competitive
2. Non competitive
3. Irreversible
4. Uncompetitive

Correct answer: 1. Competitive

Explanation: Features of non-competitive inhibition

Inhibitor have no structural resemblance to substrate.
Mostly irreversible (Except a few reversible non-competitive inhibition).
Excess substrate do not abolish the inhibition.
Km remains the same.
Vmax decreases.

Features of competitive inhibition

Inhibitor will be structural analogue of substrate.
Reversible .
Excess substrate abolish the inhibition.
Km increases.
Vmax remains the same.